Which of the following is NOT an action of glucagon?
1. Gluconeogenic
2. Lipolytic
3. Ketogenic
4. None of the above

Correct answer: 4. None of the above

Explanation: Glucagon is glycogenolytic, gluconeogenic, lipolytic, and ketogenic. Glucagon, is a 29-amino acid polypeptide hormone secreted by the -cells of the islets of Langerhans, which plays an important role in the regulation of glucose homeostasis by producing antagonistic effects on insulin action. Glucagon release is inhibited by hyperglycemia (high blood glucose levels) and stimulated by hypoglycemia (low blood glucose levels). Ref: Molina P.E. (2010). Chapter 7. Endocrine Pancreas. In P.E. Molina (Ed), Endocrine Physiology, 3e.